An 18 yr old male presents with massive hematemesis; he has history of fever for the past 14 days for which he was managed with drugs; moderate splenomegaly is present; diagnosis is:
1. NSAID induced duodenal ulcer
2. Drug induced gastritis
3. Esophageal varices
4. None of the above.

Correct answer: 3. Esophageal varices

Explanation: Answer is C (Esophageal varices) Presence of massive haematemesis in the background of moderate splenomegaly suggests a diagnosis of esophageal varices secondary to portal hypertension. Esophageal varices : Most common presentation of esophageal varices is Hematemesis. 'Splenomegaly, sometimes with hipersplenism, is the next most common presenting feature in the portal vein obstruction.'